Oil droplet cataract is seen in
1. Diabetes
2. Galactosaemia
3. Wilson's disease
4. Marfans syndrome

Correct answer: 2. Galactosaemia

Explanation: Galactosaemic cataract It is associated with an inborn error of galactose metabolism. Galactosaemia is frequently associated with the development of bilateral cataract (oil droplet central lens opacities). The lens changes may be reversible and occurrence of cataract may be prevented if milk and milk products are eliminated from the diet when diagnosed at an early stage. Galactosemia is a disorder that affects how the body processes a simple sugar called galactose. A small amount of galactose is present in many foods. It is primarily part of a larger sugar called lactose, which is found in all dairy products and many baby formulas Reference : Khurana; Comprehensive Ophthalmology; 4th edition; Page no: 181